True statements about alpha -1 - anti-trypsin deficiency-a)  Autosomal dominant diseaseb) Emphysemac) Fibrosis of Portal tractd) Diastase resistant positive hepatocytese) Orcein positive granules
1. abc
2. acd
3. bcd
4. bd

Correct answer: 3. bcd

Explanation: Fibrosis of portal tract develop when there is cirrhosis.